Most common organ affected in underwater blast -
1. Intestine
2. Liver
3. Spleen
4. Heart

Correct answer: 1. Intestine

Explanation: The synopsis of forensic medicine & toxicology ;Dr k.s narayan reddy ; 28th edition ; pg.no. 138 The physical changes are similar to those of explosion in air . injuries occurs mostly in git & less common in lungs .